Superficial incision on posterior triangle of neck leads to
1. Difficulty in shrugging of shoulder
2. Difficulty in start of abduction
3. Difficulty in rotation of face towards the same side
4. Difficulty in flexion

Correct answer: 1. Difficulty in shrugging of shoulder

Explanation: Ans is 'a' i.e. difficulty in shrugging of shoulder Nerves in the posterior triangle of neck (only motor nerves)Spinal accessory nerveTwo small branches to levator scapulae(C3,4)Nerve to RhomboideNerve to serratus anteriorNerve to subclaviusSuprascapular nerveWhen a superficial incision is made in the post triangle, the nerve most likely to be injured is spinal accessory nerve, because it runs through a tunnel in the fascia forming the roof of triangle.Rest all nerves are either deep or have a very small course in the lower part of the triangleSpinal accessory nerve supplies 2 muscles -Trapezius andsternocleidomastoidAction of Trapezius* :Elevation of scapulaRetraction of scapulaRotation of scapulaAction of sternocleidomastoid* :Turns the face to opposite side *Tilts the head towards the same shoulder.When SCM of both sides contracts draws the head forwards.